Waxy pallor of optic disc is seen in which disease?
1. Retinitis pigmentosa
2. Retinopathy of prematurity
3. Hypertensive retinopathy
4. Diabetic retinopathy

Correct answer: 1. Retinitis pigmentosa

Explanation: Ans. is 'a' i.e., Retinitis pigmentosa